Pasteurization is _________________ disinfection-
1. Precurrent
2. Concurrent
3. Preconcurrent
4. Terminal

Correct answer: 1. Precurrent

Explanation: pasteurisation may be defined as the heating of milk to such temperatures and for such periods of time as are required to destroy any pathogens that may be present while causing minimal changes in the composition,flavour,and nutritive value.several metjods employed include,;holder method,HTST method,UHT methodref:parks textbook,22nd ed,pg no608